Black patch delirium is seen in
1. Dart skinned individuals
2. Patients with malignant melanoma
3. Patients with 3 degree burns
4. Post cataract surgery patient

Correct answer: 4. Post cataract surgery patient

Explanation: Delirium can develop after cataract surgery in ilder patient who wear eye patches.Delirium caused by this sensory deprivation is called as "Black patch" delirium.